Ligand for LDL
1. APO B 100
2. APO E
3. APO 48
4. APO A11

Correct answer: 1. APO B 100

Explanation: LOW-DENSITY LIPOPROTEINS (LDL) LDL transports cholesterol from liver to peripheral tissues. The only apoprotein present in LDL is apo B100. Most of the LDL particles are derived from VLDL, but a small part is directly released from liver. The half-life of LDL in blood is about 2 days.Ref: DM Vasudevan - Textbook of Biochemistry, 8th edition, page no: 153